Gentian violet colouration of gram positive bacteria is due to ?
1. Peptidoglycan
2. Capsule
3. Cell membrane
4. None of the above

Correct answer: 1. Peptidoglycan

Explanation: Ans. is 'a' i.e., Peptidoglycan GRAM STAINING The gram stain differentiates bacteria into two broad groups :? Gram positive - Resist decolourization and retain primary stain, appear violet. Gram negative - Decolourised by organic solvents, and therefore, take the counterstain, appearing red.